Esophageal carcinoma is not predisposed by
1. Achalasia
2. Scleroderma
3. Corrosive intake
4. barrett's oesophagus

Correct answer: 2. Scleroderma

Explanation: .common predispositions in developing carcinoma oesophagus includes, *human papillomavirus infection *achalasia cardia (30%) *oesophageal webs (25%) *Barrett's oesophagus and also Plummer Vinson syndrome, tylosis, corrosive strictures, and nitrosamines. ref : SRB's manual of surgery,5th ed ,pg no 804